Ulceration of the vulva is commonly seen in all except :
1. Bacterial vaginosis
2. Syphilis
3. Chancroid
4. Behcet's disease

Correct answer: 1. Bacterial vaginosis

Explanation: ULCERS OF THE VULVA STD related idiopathic tuberculosis malignancy systemic syphilis herpes genitalis chancroid granulomainguinale lymphogranuloma venerum Bechet's disease aphthous ulcers lipschutz ulcers tubercular SCC Malignant melanoma basal cell carcinoma leukemia choriocarcinoma SLE Chron's disease Lichen planus lichen sclerosis sjogren's syndrome D.C.DUTTA'S TEXTBOOK OF GYNAECOLOGY,Pg no:262,6th edition